Drugs that can be used to treat candida infection are all except :
1. Ketoconazole
2. Nystatin
3. Amphotericin
4. Griseofulvin

Correct answer: 4. Griseofulvin